Donovanosis is caused by –
1. Calymmatobactor granulomatois
2. T. pertenue
3. Chlamydia trachomatis
4. H. ducreyi

Correct answer: 1. Calymmatobactor granulomatois

Explanation: Donovanosis (granuloma inguinale or granuloma venerum) is caused by calymmatobacterium granulomatis.